Albert's stain is used for ?
1. Staphylococcus
2. Corynebacterium diphtheriae
3. C. perfringens
4. C. tetani

Correct answer: 2. Corynebacterium diphtheriae

Explanation: Ans. is 'b' i.e., Corynebacterium diphtheriae Albert's stain is used for metachromatic granules, mostly found in corynebacterium diphtheriae.